Somites develop from-
1. Notochord
2. Intermediate mesoderm
3. Paraxial mesoderm
4. Lateral plate mesoderm

Correct answer: 3. Paraxial mesoderm

Explanation: C i.e. Praxial mesodermParaxial mesoderm form somitomeres which give rise to Somites (metamers or primitive segments)QIntra-embryonic mesoderm is formed by proliferation of cells in primitive streakQ. & it separates ectoderm & endoderm except in these region - Prochondral plate- Cloacal membraneCaudal to prochordal plate in midline as this place is occupied by notochord.